Death due to which poison causes postmortem staining of cherry-red -color:
1. Carbon monoxide
2. Aniline
3. Phosphorus
4. Nitrites

Correct answer: 1. Carbon monoxide

Explanation: A i.e. Carbon monoxide